Hemolytic disease of newborn is which type of hypersensitivity reaction?
1. Type - I
2. Type - II
3. Type - III
4. Type-IV

Correct answer: 2. Type - II

Explanation: Ans. (b) Type - II Taylor 3/e, p 107 Already explained